Pancreatitis is an ADR of which antidiabetic?
1. Vildagliptin
2. Metformin
3. Glibenclamide
4. Insulin

Correct answer: 1. Vildagliptin

Explanation: Pancreatitis can be seen with DPP4 inhibitors like vildagliptin. Other drugs in this group are sitagliptin, saxagliptin. They inhibit the DPP4 enzyme and increse the t half of incretins to increase the insulin production. Ref: KD Tripathi 8th ed.